What is the percentage of immunoglobulins present in proteins?
1. 5%
2. 10%
3. 15%
4. 20%

Correct answer: 4. 20%

Explanation: Immunoglobulins constitute 20 to 25% of total serum proteins. Based on physiochemical and antigenic differences, five classes of immunoglobulins have been recognized: IgG, IgA, IgM, IgD, and IgE.(Ref: Ananthanarayan 9th edition, p93)